Onion skin" fibrosis of bile duct is seen in?
1. Primary biliary cirrhosis
2. Primary sclerosing cholangitis
3. Extrahepatic biliary fibrosis
4. Congenital hepatic fibrosis

Correct answer: 2. Primary sclerosing cholangitis

Explanation: Ans. is 'b' i.e., Primary sclerosing cholangitis